Which of the following congenital malformation is seen in a child of a mother who is on treatment with oral anticoagulants – a) Craniofacial malformationsb) Renal agenesisc) Long bone defectsd) Chondrodysplasia punctata
1. b
2. c
3. ad
4. ab

Correct answer: 3. ad

Explanation: "Administration of warfarin (Oral anticoagulants) during pregnancy causes a syndrome characterized by


Nasal hypoplasia (Craniofacial malformation)
Stippled epiphyseal calcifications that resemble chondrodysplasia punctata." - Goodman Gilman 10th /e